All are true about estrogen except
1. Causes cholestasis
2. Used in treatment of gynaecomastia
3. Used in hormone replacement therapy
4. Increased risk of breast cancer

Correct answer: 2. Used in treatment of gynaecomastia

Explanation: Ans. (B) Used in treatment of gynaecomastia(Ref: KDT 8/e p334-355)Estrogens can result in suppression of libido, gynaecomastia and feminization as adverse effects when given to males.